True about gamma knife radiotherapy
1. Gamma rays are emitted from uranium
2. It is used for both benign and malignant cases
3. It is a special kind of knife
4. Reduced blood loss in surgery

Correct answer: 2. It is used for both benign and malignant cases

Explanation: (B) It is used for both benign and malignant cases # GAMMA KNIFE is a type of Radiosurgery machine that acts by focussing low dose Gamma radiation from many sources on a precise target. Areas adjacent to the target receive only slight dose of radiation while the target receive the full intensity. It works by the principle of alteration of the DNA structure within the lesion that fails to reproduce. This procedure is unique in that no surgical incision are performed to expose the target.> It contains Co-60 sources of approx. 30 Curies each placed in a circular array in a heavily shielded unit. The units directs Gamma rays to the target.> As this type of Surgery is less invasive, so post-op. pain is less with early recovery.> Gamma Knife is used in: Benign & malignant brain tumors Arteriovenous Malformations Pain (Trigeminal Neuralgias) & movement disorders (Parkinsonism) Treatment of epilepsy Acoustic neuroma